Contraindication of liver transplant is?
1. Fulminant liver disease
2. Metabolic liver disease
3. Metastasis
4. Primary liver disease

Correct answer: 3. Metastasis

Explanation: I. Absolute Contraindications
A. Active sepsis outside the hepatobiliary tree
B. Metastatic hepatobiliary malignancy
C. Advanced cardiopuimonary disease
D, AIDS
II. Relative Contraindications
A. Advanced chronic renal disease
B. Age greater than 60 years
C. Portal vein thrombosis
D. Cholangiolar carcinoma
E. Hypoxemia with intrapulmonary right-to-left shunts
F. Hepatitis B s antigen (HBeAg) and hepatitis B e antigen (HBeAg) positivity
G. Prior portacaval shunting procedure
H. Prior complex hepatobiliary surgery
I. HIV positivity without clinical acquired immune deficiency syndrome (AIDS)